Parboiling is done for-
1. Milling process
2. Polishing of rice
3. Preservation of nutrition
4. Storage of rice

Correct answer: 3. Preservation of nutrition

Explanation: Ans. is 'c' i.e., Preservation of nutrition o Parboiling (partial cooking in steam) is technique of preserving the nutritive value of rice. In parboiling, greater parts of vitamins and minerals present in outer layer of the rice grain are driven into the deepar layers. With subsequent milling the nutrient are not removed.